Voriconazole is not effective against
1. Aspergillosis
2. Mucormyocosis
3. Candida albicans
4. Candida tropicalis

Correct answer: 2. Mucormyocosis

Explanation: Mucormycosis Voriconazole Voriconazole is recent systemic antifungal agent belonging to the azole chemical .family. It is a broad spectrum azole that has been approved for t/t by F.D.A. in 2002. As with other triazoles voriconazole impairs the biosynthesis of ergosterols by inhibiting the p450 enzyme 14a sterol demethylase. Voriconazole is administered by i.v. and oral routes. It is formulated as lyophilized powder ,for solution for i.v. infusion as well as tablets and powder for suspension for oral administration. Uses of Voriconazole Varoconazole is a broad spectrum azole. It can be used in all diseases where azoles are effective. It is especially used for ? Invasive aspergillosisQ In patients with invasive aspergillosis, initial therapy with voriconazole led to better responses and improved survival and resulted in.fewer side effects than the standard approach of initial therapy with amphotericin B. Emerging fungal pathogensQ Voriconazole is used in the primary treatment of amphotericin B and fluconazole resistant fungal infections e.g., Fusarium, Scendosporium. Patients with neutropenia and feverQ Pts with neutropenia and fever are often treated empirically with AMB or liposomal AMB to prevent invasive fungal infections. Voriconazole is a suitable alternative to AMB preparation for empirical antifungal therapy in patients with neutropenia and persistent fever. Those with Fluconazole resistant candida infection Voriconazole is a broad spectrum antifungal showing in vitro activity against candida species uncluding fluconazole resistant candida albicans2 and candida krusei2. Some important adverse effect of Voriconazole : ? Teratogenecity - Voriconazole is teratogenic in animals and contraindicated in pregnancy (class 0) QTc prolongation and arrhythmias - Voriconazole like some other azoles causes a prolongation of the QTc intervals which can become significant in patient with other risk factors for Torsades-de-points.